The tissue of origin of the Kaposi's sarcoma is -
1. Lymphoid
2. Vascular
3. Neural
4. Muscular

Correct answer: 2. Vascular

Explanation: It is an indolent, multifocal, nonmetastatic mucosal or cutaneous tumor probably of endothelial origins REF:ANANTHANARAYANAN TEXTBOOK OF MICROBIOLOGY 9EDITION PGNO.576